Skin flap is used in all except -
1. Bone
2. Tendon
3. Burn wound
4. Cartilage

Correct answer: 3. Burn wound

Explanation: Ans. is 'c' i.e., Burn wound